The usual incubation period of pertusis is -
1. 7-14 days
2. 3-5 days
3. 21-25 days
4. Less than 3 days

Correct answer: 1. 7-14 days